"Cubitus-valgus" deformity is complication of :
1. Lateral condyle of humerus
2. Intercondylar of humerus
3. Of the olecranon
4. Head of the radius

Correct answer: 1. Lateral condyle of humerus

Explanation: A i.e. Lateral condyle